In a woman with molar pregnancy with a uterine size of 28 weeks, the treatment of choice is:
1. Medical induction with prostaglandins
2. Hysterotomy
3. Hysterectomy
4. Suction evacuation

Correct answer: 4. Suction evacuation

Explanation: Ans. D i.e. Suction evacuation Molar pregnancy Investigation of choice to diagnose H. mole: USG H. mole is associated with: - PIH, - Thyrotoxicosis, Hyperemesis Treatment of choice: Suction - evacuation Histological feature of H. mole: Hydropic degeneration Molar pregnancy is usually diagnosed in: 1st trimester